All are true about cystic hygroma except ?
1. Aspiration is diagnostic
2. 50% present at birth
3. Presents as posterior cervical swelling
4. Sequstration of lymphatic tissue

Correct answer: 1. Aspiration is diagnostic

Explanation: Answer is (a) i.e. Aspiration is diagnostic Sabiston writes "Roughly 50% to 65% of hygromas prsent at birth, with most becoming apparent by the second year of life." About option 'a' - I have looked in Schwartz, Sabiston, CSDT, Nelson & Bailey. Nowhere its written that aspiration is needed for diagnosis.